Testing for microdeletion of Y-chromosome is offered for which patient with a normal Karyotype
1. Sperm concentration of 2 million/ml
2. Semen volume of 2 ml
3. Presence of fructose in semen
4. Normal morphology sperms >4%

Correct answer: 1. Sperm concentration of 2 million/ml

Explanation: A patient with severely decreased sperm counts and a normal Karyotype is offered testing for microdeletion of Y chromosome.